Propranolol is useful in the management of which of the following side effects of a typical neuroleptic ?
1. Parkinsonism
2. Acute muscle dystonia
3. Tardive dyskinesia
4. Akathisia

Correct answer: 4. Akathisia